All of the following drugs are useful in destrussor instability EXCEPT:
1. Solefenacin
2. Tolterodine
3. Flavoxate
4. Duloxetine

Correct answer: 4. Duloxetine

Explanation: Ref:KD Tripathi pharmacology 7th edition (page.no: 117,118, 462) Vesicoselective drugs are used for detrusor instability resulting in urinary frequency and urge incontinence. It selectively blocks M1/M3 subtypes. Example are Oxybutynin, Tolterodine, Flavoxate, Darifenacin, Drotaverine, Solifenacin. Duloxetine is an SNRI. it is neither sedative nor anticholinergic, nor antihistaminic, nor a blocker